Hippocampal formation includes all Except
1. Dentate gyrus
2. Sibiculum
3. Amygdaloid
4. Entorhinal cortex

Correct answer: 3. Amygdaloid

Explanation: The hippocampal formation in the medial temporal lobe of the brain includes the dentate gyrus, the hippocampus proper and the subiculum